False about Yellow fever Vaccine
1. Live attenuated
2. Reconstitution is with cold physiological saline
3. Dose is 0.5 ml
4. Route is Instramuscular

Correct answer: 4. Route is Instramuscular

Explanation: Route is Subcutaneous.